Which of the following is true about medullary CA of thyroid
1. Associated with MET oncogene
2. Elevated levels of Serum calcitonin
3. Seen in MEN I syndrome
4. Most common thyroid cancer

Correct answer: 2. Elevated levels of Serum calcitonin

Explanation: Answer- B. Elevated levels of Serum calcitoninIn Medullary carcinoma serum calcitonin is increased, whose function is to lower serum calcium levels.So hypocalcemia maybe found associated with MTC.Seen in MEN II A and BAssociated with RET Protooncogene